A patient presented with stridor and dyspnea, which he developed after an attack of upper respiratory tract infection. On examination he was found to have a 3mm glottic opening. All of the following are used in the management except:
1. Tracheostomy
2. Arytenoidectomy
3. Teflon injection
4. Cordectomy

Correct answer: 3. Teflon injection

Explanation: Glottic diameter of 3 mm indicates that the patient is having laryngeal paralysis (due to URTI). Because of the narrowness of the opening, the patient is having stridor and dyspnea. Stridor and dyspnea can be managed by: - Tracheostomy - Fixing the cord in the lateral position by: Arytenoidectomy Aretynoid pexy - Vocal cord lateralisation through endoscope - Laser cordectomy - Thyroplasty type II. Teflon injection is a method to medialise the cord and is therefore of no use in this patient. It would rather aggravate the condition. For a quiet respiration the glottic diameter should be 14 mm wide.